Which one is wrong about human milk?
1. Gives energy of 67 K cal/1
2. Carbohydrate forms 40% of total energy
3. Fats forms > 50% of total energy
4. All

Correct answer: 1. Gives energy of 67 K cal/1

Explanation: Ans. is 'a' i.e., Gives energy of 67 K cal/1 o Human milk gives 67 kcal per 100 ml (not per litre). o Protein forms 8-10% of total energy. o Carbohydrate forms 3 8-40% of total energy. o Fat forms 50-52% of total energy.